All causes microcytic anemia except -
1. Hookworm infestation
2. Thalassemia
3. Orotic aciduria
4. Pyridoxine deficiency

Correct answer: 3. Orotic aciduria